Positive rinne test indicates -
1. AC>BC
2. BC>AC
3. BC=AC
4. None

Correct answer: 1. AC>BC

Explanation: Ans. is 'a' i.e., AC > BC TestNormalConductive deafnessSN deafnessRinneAC > BC (Rinne positive)BC > AC (Rinne negative)AC > BC (Rinne negative)WeberNot iateralizedLateralized to poorer earLateralized to better earABCSame as examiner'sSame as examiner'sReducedSchwabachEqualLengthenedShortened